Which of the following are called as Force generating proteins?
1. Myosin and myoglobin
2. Dynein and kinesin
3. Calmodelin and G protien
4. Troponin

Correct answer: 2. Dynein and kinesin

Explanation: Myosin, kinesin and dynein are referred to as force generating proteins. These molecular motors move proteins, organelles, and other cell parts referred to as "cargo" to all parts of the cell. They convert the energy of ATP into movement along the cytoskeleton, taking their cargo with them. Ref: Ganong's Review of Medical Physiology, 23rd Edition, Chapter 2.